Location of a-1 sympathetic receptors?
1. Blood vessels
2. Bronchi
3. Sweat glands
4. Heart

Correct answer: 1. Blood vessels

Explanation: Ans. is'a' i.e., Blood vessels(Ref: Ganong 25thie p. 260)